Most comon cause of pelvic inflammatory disease in virgin girls is :
1. Gonorrhoea
2. Chlamydia
3. Treponema pallidum
4. Tubercular

Correct answer: 4. Tubercular

Explanation: Tubercular